Ketamine should be avoided in -
1. The presence of increased arterial pressure
2. Pregnancy
3. Hypovolemic shock
4. Asthmatic

Correct answer: 1. The presence of increased arterial pressure

Explanation: Ans. is 'a' i.e., The presence of increased arterial pressure `Ketamine increases BP and intracranial tension, it therefore should be avoided in hypertension and in the presence of raised ICT.'